MC cause of anovulation is-
1. PCOS
2. Hyperprolactinemia
3. Premature ovarian failure
4. Low ovarian reserves

Correct answer: 1. PCOS

Explanation: Ans. is 'a' i.e., PCOS * Anovulation and ovulatory dysfunction can be caused by a number of factors. The most common cause of ovulatory dysfunction is polycystic ovarian syndrome, or PCOS. Other potential causes of irregular or absent ovulation:# Obesity# Underweight# Extreme exercise# Hyperprolactinemia# Premature ovarian failure# Perimenopause, or low ovarian reserves# Thyroid dysfunction# Extremely high levels of stress